Vulval carcinoma metastasizes to :
1. Inguinal lymph nodes
2. Pre aortic lymph nodes
3. Para aortic lymph nodes
4. Pelvic lymph nodes

Correct answer: 1. Inguinal lymph nodes

Explanation: Inguinal lymph nodes